Regarding Listeriosis in pregnancy, which of the following is false?
1. Cause 2nd trimester loss
2. Infection on drinking raw milk
3. Symptoms occur after 3 days of exposure
4. Leads to granulomatosisinfantiseptica

Correct answer: 3. Symptoms occur after 3 days of exposure

Explanation: Nearly all cases of listeriosis are thought to be food bone Listerial infections are more common in pregnant women, immunocompromised patients, and he very old or young, Infections in pregnancy is estimated to be up to 100 times that in the general Fetal infections characteristically produces disseminated granulomatous lesions with micro abscesses Rx with ampicillin plus gentamicin is usually recommended.